Lesion of posterior inferior cerebellar artery at brain involves/affects:
1. Spinal tract of trigeminal nerve
2. Tractus Solitarus
3. Spinothalamic tract
4. All

Correct answer: 4. All

Explanation: Answer is A, B and C: .Posterior Inferior cerebellar Artery (PICA) lesions cause lateral medullary Syndrome or Wallenberg Syndrome Wallenberg Syndrome involves the spinal tract of trigeminal nerve, tractus solitarus and the spinothalamic tract Corticospinal tract is not involved in Wallenberg syndrome or lesions qt. the Posterior Inferior carebullar Artery (PICA) Structures involved in lateral medullary syndrome or Wallenberg Syndrome (Posterior Inferior Cerebellar Artery lesion) Spinal nucleus of Trigeminal Nerve and it's tract (Vth Nerve) Vestibular Nuclei (VIII nerve) Fibres of IXth and Xth nerve Nucleus Ambiguous (IX, Xth and Xlth nerve) Nucleus tractus solitarus Descending sympathetic .fibres from the cerebellum Restifbrm body or Base of inferior cereballar peduncle Olivocerebellar fibres Cuneate and Gracilis nuclei Spinothalamic tract